Amatoxins in mushroom poisoning acts by inhibiting-
1. DNA
2. mRNA
3. Adenosine
4. G-proteins

Correct answer: 2. mRNA

Explanation: Ans. is 'b' i.e., mRNA o Late mushroom poisoning (Amanita phalloides) is due to inhibition of RNA and protein synthesis.